The drug which does not cause myopathy is-
1. Chloroquine
2. Betamethasone
3. Chloramphenicol
4. Zidovudine

Correct answer: 3. Chloramphenicol

Explanation: Ans. is 'c' i.e., Chloramphenicol